Foramen ovale closes because of fusion of
1. Septum primerm + Endocardial cushion
2. Septam serunsum + Endocardial cushion
3. Septum primerm + Septam serunsum
4. None

Correct answer: 3. Septum primerm + Septam serunsum

Explanation: The septum primerm and septum secundum press againest each other close the communication (forman ovale) between the two arteria, complited at around 3 months after birth.